Which procedure is done in case of recurrent Ranula management?
1. Incision and drainage
2. Aspiration
3. Excision
4. Sclerosant injection

Correct answer: 3. Excision

Explanation: Incision over ranula and edges are sutured- Marsupialization In cases of recurrence- Excision